6 year old child with recurrent URTI with mouth breathing and failure to grow with high arched palate and impaired hearing has to undergo:
1. Tonsillectomy
2. Grommet insertion
3. Myringotomy with grommet insertion
4. Adenoidectomy with grommet insertion

Correct answer: 4. Adenoidectomy with grommet insertion

Explanation: The child is gaving recurrent URTI with high arched palate and failure to grow which indicates child is having adenoids and since there is impaired hearing it means child has developed otitis media as a complication. Hence logically the child should be treated with adenoidectomy with grommet insertion.This is further supported by following lines from Scott Brown. "Current practice is to perform adenoidectomy as an adjunct to the insertion of ventilation tubes." Ref Scott Brown 7/e,Vol 1,p 902.